The following drug acts as Rho- kinase(ROCK enzyme) inhibitor
1. Trimetazidine
2. Fasudil
3. Pinacidil
4. Ranolazine

Correct answer: 2. Fasudil

Explanation: Fasudil is the Rho kinase inhibitor. Rock enzyme produce vasoconstriction and increase oxygen demand which is blocked by fasudil decreasing the myocardial oxygen demand